Cause of lid retraction include:
1. Graves' ophthalmopathy
2. Hypokalemic periodic paralysis
3. Cirrhosis of the liver
4. All of the above

Correct answer: 4. All of the above

Explanation: Ans. All of the above